Which among the following is the abductor of vocal cord, paralysis of which could lead to suffocation?
1. Posterior cricoarytenoid
2. Cricothyroid
3. Lateral cricoaretynoid
4. Interarytenoid

Correct answer: 1. Posterior cricoarytenoid

Explanation: Posterior cricoarytenoid is the sole abductor of vocal cords and bilateral paralysis may lead to the adduction of vocal cords and suffocation. The posterior cricoarytenoid muscle causes the muscular process of the arytenoid to be pulled posteriorly and toward the opposite arytenoid. The vocal process, in turn, is pulled laterally, causing the abduction of the vocal cord.